A carrier who gets infected from another carrier is known as:-
1. Incubatory carrier
2. Paradoxical carrier
3. Convalescent carrier
4. Pseudo carrier

Correct answer: 2. Paradoxical carrier

Explanation: Paradoxical carrier - A person gets infected from another carrier and himself becomes Carrier. Carriers are of 6 major types: Content carrier - Carrier gets infection from a case Paradoxical carrier - Carrier gets infection from another carrier Chronic carrier - Carrier for duration of more than 6 months Incubatory carrier - can transmit the agent during the incubation period before clinical illness begins. Convalescent carrier - can transmit the agent during recovery phase Pseudo carrier - asymptomatic carrier with avirulent organismsm.( no need to worry about it)